A female patient is presenting with BP of 90/60 and pulse rate 150/minutes after blunt abdominal trauma. How would you assess the patient
1. USG
2. CT scan
3. X-ray
4. MRI

Correct answer: 1. USG

Explanation: Answer- A. USGThe diagnosis of abdominal injury by clinical examination is unreliable. Blunt abdominal trauma requires dessive investigation and management:If patient is hemodynmically stable and can be shifted - CT scan is the best.If patient is hemoilynamically unstable (cannot be shifted) - USG is the investigation of choice.